Drug of choice for Zollinger Ellison syndrome:
1. Proton pump inhibitor
2. Antacids
3. Antithistminics
4. H2 blockers

Correct answer: 1. Proton pump inhibitor

Explanation: Proton pump inhibitor